To give intramuscular injections, safe quadrant of gluteal region is:
1. Anterosuperior
2. Anteroinferior
3. Posterosuperior
4. Posteroinferior

Correct answer: 1. Anterosuperior

Explanation: Ans. A i.e. Anterosuperior